COTPA act is related to
1. Child abuse
2. Cigarette smoking
3. Consumer related
4. Cocaine

Correct answer: 2. Cigarette smoking

Explanation: The Cigarettes and Other Tobacco Products Act, 2003 or COTPA, 2003 is an Act to prohibit the advertisement of and to provide for the regulation of trade and commerce in, and production, supply and distribution of cigarettes and other tobacco products in India.